A 30 year old pregnant female was diagnosed with syphilis and 3 doses of injection Benzathine
Pencillin G 2.4 MU was advised. She was found to be allergic to pencillin. What is the next management?
1. Continue the same after reassurance
2. T.Doxycycline 100mg BD for 14 days
3. T.Doxycycline 100mg BD for 21 days
4. Desensitization

Correct answer: 4. Desensitization

Explanation: Even though she was allergic to pencillin, Doxycycline was not given as she is pregnant and Doxycycline has teratogenic effects.
Therefore, desensitization should be done by giving repeated small doses of pencillin until the allergic response is subsided. If desensitization is not possible then Erythromycin / Azithromycin / Ceftriaxone is given.